A 10 month old infant presents with acute intestinal obstruction. Contrast enema X-ray shows the intussusceptions, Likely cause is
1. Payers patch hypertrophy
2. Mekel's diverticulum
3. Mucosal polyp
4. Duplication cyst

Correct answer: 1. Payers patch hypertrophy

Explanation: Ans. is 'a' i.e., Peyer's Patch Hypertrophy Bailey writes - "The condition is encountered most commonly in children, in whom it occurs in an idiopathic form, with a peak incidence at 3-9 months. Between 70% and 90% cases are classed as idiopathic, and an associated illness such as gastroenteritis or urinary tract infection is found in 30%. It is believed that hyperplasia of Peyer's patches in the terminal ileum may be the initiating event. This may occur secondary to weaning. In light of the seasonal variation, with peak incidence in spring and summer, it may be related to upper respiratory tract infection pathogens such as adenovirus or rotavirus."Intussusception associated with a known pathologic lead point is seen in older children. The most common lead point is Meckel's diverticulum.This patient is 10 months old, so most likely the cause should be hypertrophy of Peyer's patches.